The nitrogen of the body is supplied by:
1. Triacyl glycerol
2. Proteins
3. Glucose
4. Lipids

Correct answer: 2. Proteins

Explanation: Proteins are polymers of amino acid. Proteins contain carbon, hydrogen, oxygen and nitrogen as the major components. Nitrogen is characteristic of protein. On an average, the nitrogen content of ordinary proteins is 16% by weight.